The inner waldeyer's group of lymphnodes does not include:
1. sub maxillary lymph node
2. Tonsils
3. Lingual tonsils
4. Adenoids

Correct answer: 1. sub maxillary lymph node

Explanation: Submandibular nodes do not form part of waldeyers lymphatic ring.They form part of outer group of lymphnodes into which efferents from the constituents of the waldeyers lymphatic ring may drain. Ref Current Otolaryngology 2/e,p 340,341.